Drug indicated in case of subarachnoid hemorrhage:
1. Nimodipine
2. Amlodipine
3. Diltiazem
4. Verapamil

Correct answer: 1. Nimodipine

Explanation: Ans. A. NimodipineNimodipine is cerebro selective calcium channel blocker. Given in patients with hemorrhagic stroke. Nicardipine also have similar effects. This drugs reverse the cerebral vasospasm.